Which of the following molecules activates "Classically activated macrophage"/M1 type macrophage?
1. IFN-g
2. IL-4
3. IL-13
4. IL-1

Correct answer: 1. IFN-g

Explanation: IL-10 and TGF-b are anti-inflammatory.